Subependymal Gaint Cell Astrocytoma is commonly associated with which of the following condition?
1. Neurofibroma
2. Schwannoma
3. Ependymoma
4. Tuberous sclerosis

Correct answer: 4. Tuberous sclerosis

Explanation: Subependymal Giant Cell Astrocytomas are located at Foramen of Monro. Usually associated with patients of Tuberous sclerosis. MRI T1 POST CONTRAST image showing avidly enhancing lesion at septum pellucidum of lateral ventricle with hydrocephalus.